Would closure for clean wounds within 6 hours of injury without risk of contamination
1. Primary closure
2. Delayed primary closure
3. Secondary closure
4. Tertiary closure

Correct answer: 1. Primary closure

Explanation: Primary Closure
Also known as healing by primary intention Have a small, clean defect that minimizes the risk of infection Requires new blood vessels and keratinocytes to migrate only a small distance Surgical incisions, paper cuts and small cutaneous wounds usually heal by primary closure.
Fastest type of closure by simple suturing, skin grafting or flap closure Secondary Closure Also known as healing by secondary intention Healing of a wound in which the wound edges cannot be approximated Requires a granulation tissue matrix to be built to fill the wound defect Requires more time and energy than primary wound closure Creates more scar tissue The majority of wounds close by secondary wound closure.
Delayed Primary Closure Also known as healing by tertiary intention. Combination of healing by primary and secondary intention
The wound is first cleaned and observed for a few days to ensure no infection is apparent, before it is surgically closed.
E.g. traumatic injuries such as dog bites or lacerations involving foreign bodies.